Which of the following are signs of antemortem drowning
1. Cadaveric spasm
2. Emphysema aquosum
3. Mud particles in airway
4. All of the above

Correct answer: 4. All of the above

Explanation: All of the above are features of antemortem drowning.